Deprescription of PPIs can be done in all except:-
1. 40 year old with Barret's esophagus
2. 40 year old with GERD
3. 45 year old with NSAID induced ulcer
4. Stress ulcer in ICU patient

Correct answer: 1. 40 year old with Barret's esophagus

Explanation: Deprescription of PPIs is Indicated Not indicated Mild to moderate esophagitits Barrett's esophagus GERD Chronic NSAID user with bleeding risk PUD (NSAID OR H.PYLORI) Severe esophagitis ICU stress ulcer prophylaxis Documented history of bleeding GI ulcer. Uncomplicated H.pylori Upper GI symptoms without endoscopy